The contents of the aponeurotic adductor canal of Hunter are all, EXCEPT?
1. Femoral artery
2. Popliteal artery
3. Nerve to Vastus medialis
4. Saphenous nerve

Correct answer: 2. Popliteal artery

Explanation: The adductor canal (Subsartorial/Hunter's canal) is an aponeurotic tunnel in the middle third of the thigh, extending from the apex of the femoral triangle to the opening in the Adductor magnus, the Adductor hiatus. The canal contains the femoral artery, femoral vein, and branches of the femoral nerve (specifically, the saphenous nerve, and the nerve to the Vastus medialis).